All are true about anogenital warts except:
1. Genital warts are sexually transmitted infection caused by certain types of Human Papilloma virus (HPV).
2. HPV types 16 and 18 are the typical cause of genital warts
3. Histopathologically, nuclear enlargement with perinuclear clearing
4. Simple excision, such as with scissors under local anesthesia, is effective.

Correct answer: 2. HPV types 16 and 18 are the typical cause of genital warts

Explanation: Genital warts are sexually transmitted infection caused by certain types of HPV. HPV types 6 and 11 are the typical cause of genital warts. HPV is most commonly transmitted through penetrative sex. While HPV can also be transmitted non-penetrative sexual activity, but it is less transmissible. Anal or genital warts may be transmitted during birth in children. Characteristically rise above the skin surface due to enlargement of the dermal papillae, have parakeratosis and the characteristic nuclear changes, typical of HPV infections (nuclear enlargement with perinuclear clearing). Gardasil is a vaccine that protects against human papilloma virus types 6, 11, 16 and 18. Types 6 and 11 cause genital warts, while 16 and 18 cause cervical cancer Simple excision, such as with scissors under local anesthesia, is highly effective.